Function of the lumbricals is -
1. Flexion at MCP joint
2. Flexion at IP joints
3. Adduction of the fingers
4. Abduction of the fingers

Correct answer: 1. Flexion at MCP joint

Explanation: Ans. is 'a' i.e., Flexion at MCP joint MuscleNerve supplyActionLumbricals (4)First and second: Median nerve; Third and fourth: Deep branch of ulnar nerve.Flex the MP joints & extend the IP joints of the fingers.Palmar interossei (4)Deep branch of ulnar nerve.Adducts digits, flex the MP joints and extends the IP joints.Dorsal interossei (4)Deep branch of ulnar nerve.Abducts fingers, flex MP joints and extends IP joints.